The major component of zinc phosphate cement is:
1. Zinc oxide
2. Phosphoric acid
3. Zinc
4. None of the above

Correct answer: 1. Zinc oxide